To find out whether the water has been properly chlorinated, the test used is –
1. Horrock's test
2. Ortho–toludine test
3. Presumptive coliform test
4. Total bacterial count

Correct answer: 2. Ortho–toludine test